Procedure of choice in ulcerative colitis with acute perforation is:
1. Defunctioning ileostomy
2. Closure of perforation
3. Proximal diversion colostomy
4. Total colectomy and ileostomy

Correct answer: 4. Total colectomy and ileostomy

Explanation: Ulcerative colitis: Mx: SxOC: Total Proctocolectomy + Ileal pouch anal anastomoses. Mc type of pouch - J-shaped pouch SxOC Elderly with high risk of leak - Ileostomy SxOC perforation - Total colectomy + Ileostomy